Mechanism of action of thiazides is by ?
1. Inhibiting Na+/Cl- symporter in DCT
2. Inhibiting Na+/Cl- symporter in PCT
3. Inhibiting Na+K+2Cl- in ascending limb of loop of henle
4. Inhibiting Na+K+2Cl- in descending limb of loop of henle

Correct answer: 1. Inhibiting Na+/Cl- symporter in DCT

Explanation: Ans. is 'a' i.e., Inhibiting Na+/Cl- symporter in DCT